The mechanism of action of Sofosbuvir?
1. Inhibits RNA dependent RNA polymerase of HCV
2. Inhibits DNA dependent RNA polymerase of HCV
3. Inhibits RNA dependent RNA polymerase of HBV
4. Inhibits DNA dependent RNA polymerase of HBV

Correct answer: 1. Inhibits RNA dependent RNA polymerase of HCV

Explanation: Sofosbuvir is used orally for Hep C. Orally given once daily in combination with ledipasvir or ribavirin or PEG-interferon for 24 weeks. It is a Hep C NS5B polymerase inhibitor. Ref: HL.Sharma 3rd ed. Pg 800